BRCA-1 and BRCA-2 located respectively on?
1. Chromosome 17 and Chromosome 22
2. Chromosome 17 and Chromosome 13
3. Chromosome 22 and Chromosome 17
4. Chromosome 13 and Chromosome 17

Correct answer: 2. Chromosome 17 and Chromosome 13

Explanation: BRCA 1 gene is located at 17q21
BRCA 2 gene is located at 13q12.3